Sialoliths are most common in the:
1. Stenson duct.
2. Wharton duct.
3. Bartholin duct.
4. Duct of Rivinus.

Correct answer: 2. Wharton duct.